Most commonly affected value in subacute bacterial endocarditis is:
1. Mitral
2. Tricuspid
3. Pulmonary
4. None of the above

Correct answer: 1. Mitral